A 3 year old child is expected to have all except –
1. Speak in sentences
2. Copy a circle
3. Hobble 5 steps
4. Climb upstairs and downstairs

Correct answer: 3. Hobble 5 steps

Explanation: Milestone development is a very important topic. Here I am explaning in details so that you will be able to solve all the questions on this topic.